Most appropriate mode of ventilation for head injury patient
1. CPAP
2. SIMV
3. CMV
4. AMV

Correct answer: 3. CMV